Not A sexually transmitted disease –
1. Pinta
2. Candidiasis
3. HBV
4. Trichomonisis

Correct answer: 1. Pinta

Explanation: Yaws, pinta & endemic syphilis are non-veneral treponematoses.